Jugular venous pressure is created in
1. Haemorrhagic shock
2. Cardiogenic shock
3. Neurogenic shock
4. None of the above

Correct answer: 2. Cardiogenic shock